NOT a feature of hypothyroidism is –
1. Short metacarpals in hands
2. Delayed puberty
3. Delayed bone age
4. Altered upper and lower segment ratio

Correct answer: 1. Short metacarpals in hands

Explanation: Hypothyroidism

Hypothyroidism results from deficient production of thyroid hormone or a defect in thyroid hormone receptor activity.
Hypothyroidism may be : -


Congenital → Present since birth
Acquired → Symptoms appear after a period of apparently normal thyroid function.

Hypothyroidism causes -

Delayed bone growth (Bone age markedly delayed)
Delayed puberty &
Alteration in upper and lower segment ratio (upper segment > lower segment)